In left oblique breech presentation head engages in
1. Right oblique
2. Left oblique
3. Right transverse
4. Left transverse

Correct answer: 1. Right oblique

Explanation: Head in breech engages in opposite oblique diameter as that occupied by buttocks.since breech is in left oblique hence head will engage in right oblique diameter